Left ventricular hypertrophy is caused by all except
1. MS
2. MR
3. AS
4. AR

Correct answer: 1. MS